FADH2 enters at which complex in ETC ?
1. I
2. II
3. III
4. IV

Correct answer: 2. II

Explanation: Ans. is 'b' i.e., II FADH, enters at complex II, therefore, generates only 1-5 molecules of ATP (1 ATP production is bypassed at complex I).